A blood donor is not considered for safe transfusion, If he has
1. Anti Hbs Ag +ve
2. Anti HBs Ag and HBc Ag +ve
3. Hbs Ag +ve & IgM anti HBc +ve
4. Anti HBc +ve

Correct answer: 3. Hbs Ag +ve & IgM anti HBc +ve